Montelukast is a -
1. Leukotriene antagonist
2. Mast cell stabilizer
3. Anti IgE antibody
4. Lipoxygenase inhibitor

Correct answer: 1. Leukotriene antagonist

Explanation: Ans. is 'a' i.e., Leukotriene antagonist Drugs used in asthmaBronchodilatorsDrugs reducing inflammation Leukotriene antagonistsMast cell stabilizers CorticosteroidsAnti-IgE antibodya)B2Sympathomimetics* Montelukast* Zafirlukast* Sodium cromoglycate* Ketotifena)Systemic* Hydrocortisone* Prednisolone* Omalizumab* Salbutamol* Bambuteral* Formoterol* Terbutaline* Salmeterol* Ephedrineb)Inhalation* Beclomethasome* Budesonide* Fluticasone* Flunisolide* Ciclesonideb)Methylxanthines* Theophylline* Doxophylline* Aminophyllinec)Anticholinergics* Ipratropium* Tiopratropium* Selective PGE4 inhibitors are under clinical trial as antiasthma drugs. These are cilomilast, roflumilast and tofimilast.